Which of the following neuron inhibits deep cerebellar nuclei of cerebellum?
1. Golgi cells
2. Purkinje cells
3. Stellate cells
4. Basket cells

Correct answer: 2. Purkinje cells

Explanation: Purkinje cells inhibits deep cerebellar nuclei.
Deep cerecellar nuclei output is always excitatory.